Venlafaxine comes under which class of drugs:-
1. Selective serotonin reuptake inhibitor
2. Serotonergic noradrenergic reuptake inhibitor
3. Serotonin receptor antagonist
4. Monoamine oxidase inhibitors

Correct answer: 2. Serotonergic noradrenergic reuptake inhibitor

Explanation: antidepressant drugs MAO (-) SSRI SNRI MOCLOBEMIDE FLUOXETINE PAROXATINE FLUVOXAMINE SERTRALINE CITALOPRAM VENLAFAXINE DULOXETINE MILNACIPRAN Venlafaxine : Antidepressant referred as SNRI B/C it inhibits NA and SHT Does not have - cholinergic Adrenergic or Histaminergic property Sedative property